Which of the following inclusion body is seen in a patient with Rabies?
1. Cowdry-B
2. Negri bodies
3. Guarneri bodies
4. Bollinger bodies

Correct answer: 2. Negri bodies

Explanation: Negri bodies are eosinophilic intracellular lesions found within cerebral neurons and are highly specific for Rabies. They are found in about 75% of proven cases of animal rabies. Guarneri bodies are inclusion bodies seen in the cytoplasm of cells infected with small pox virus. Bollinger bodies are found in the cytoplasm of a cell infected with fowl pox virus. In herpes infection giant cells are present, they contain a conglomeration of several nuclei. Each nucleus contain a large inclusion body surrounded by a clear halo. HSV infection is associated with two types of viral inclusions. Cowdry A inclusions are small, round and eosinophilic and are separated from the nuclear material by a halo. Cowdry B inclusions are large, ground glass, eosinophilic, centrally located structures that push nuclear materials to the rim of the nucleus. Ref: Weber D.J., Wohl D.A., Rutala W.A. (2011). Chapter 152. Rabies. In J.E. Tintinalli, J.S. Stapczynski, D.M. Cline, O.J. Ma, R.K. Cydulka, G.D. Meckler (Eds), Tintinalli's Emergency Medicine: A Comprehensive Study Guide, 7e. Microbiology:Application Based Approach By Pelczar page 427.